A mentally ill person smells unpleasant odor when none is present. This is an example of:
1. Illusion
2. Delusion
3. Obsession
4. Hallucination

Correct answer: 4. Hallucination

Explanation: Ans. Hallucination